Spermin is detected in semen by which test?
1. Barberio test
2. Florence test
3. ELISA
4. Agglutination inhibition

Correct answer: 1. Barberio test

Explanation: Seminal Chemical Examination:The rapid tests are Florence test (based on the exhibition of dark brown rhombic crystals of choline iodide, resembling haemin but are larger, arranged in clusters, rosettes or crosses, etc.) and Barberio test (showing yellow needle-shaped crystals of spermine picrate). Both these tests are simply suggestive of the presence of some vegetable or animal substance. A negative test, however, reveals that the stain is not of seminal origin.Ref: Krishan Vij textbook of forensic medicine and toxicology; 5th edition; Page no: 324